All of the following drugs cause hemolysis in patients with G6PD deficiency except:
1. Primaquine
2. Chloroquine
3. Quinine
4. Pyrimethamine

Correct answer: 4. Pyrimethamine